"Reducing power" is usually in the form of:
1. Reduced NADP+
2. Reduced NADPH
3. Reduced NAD
4. Oxidised NADH

Correct answer: 1. Reduced NADP+

Explanation: NADP?: Nicotinamide Adenine Dinucleotide Phosphate, is a diffusible electron carrier. Its reduced form (NADPH) is reducing power of the cell. A cells reservoir of NADPH represents its reducing power which is an important measure of cells usable energy. They store electrons until they are used in anabolic reactions. A cells reservoir of NADPH represents its reducing power which is an important measure of cells usable energy. Functions of NADPH: Synthesis of fatty acids, Synthesis of cholesterol, Fixation of ammonia by glutamate dehydrogenase, Oxidative metabolism by cytochrome P450 enzymes: - Generation of catecholamine mediators (dopamine, epinephrine and norepinephrine), - Drug metabolism, Generation of nitric oxide and reactive oxygen species by phagocytes, Scavenging of reactive oxygen species that form as byproducts of oxygen transport and of the respiratory chain. Ref: Cell and Molecular Biology: Concepts and Experiments, By Gerald Karp, 6th Edition, Page 112